Dry mouth during antidepressant therapy is caused by blockade of:
1. Muscarinic acetylcholine receptors
2. Serotonergic receptors
3. Dopaminergic receptors
4. GABA receptors

Correct answer: 1. Muscarinic acetylcholine receptors